Not related to hilum of right lung?
1. Azygous vein
2. Vagus nerve
3. SVC
4. Arch of aorta

Correct answer: 4. Arch of aorta

Explanation: Arch of aorta is related to left lung.